Lazy S incision is used while operating for
1. Seabrooks operation
2. Parotidectomy
3. Submanandibular calculi removal
4. All of the above

Correct answer: 2. Parotidectomy

Explanation: Lazy S incision is used for parotidectomy.